Periodic Acid Schiff stain shows block positivity in:
1. Myeloblasts
2. Lymphoblasts
3. Monoblasts
4. Megakaryoblasts

Correct answer: 2. Lymphoblasts

Explanation: Lymphoblasts